What is the most common type of twin pregnancy?
1. Dichorionic diamniotic
2. Monochorionic diamniotic
3. Monochorionic monoamniotic
4. Dichorionic monoamniotic

Correct answer: 1. Dichorionic diamniotic

Explanation: Ans. A. Dichorionic diamniotica. Dizygotic twins are more common than monozygotic twins. Thus, dichorionic diamniotic is the most common variety.b. The most common variety of monozygotic twins is monochorionic diamniotic.